Continuous administration of GnRH
1. Stimulates hypothalamic - pituitary axis
2. Suppresses hypothalamic - pituitary axis
3. May suppress or stimulate hypothalomic -pituitary axis
4. Has no effect on hypothalamic - pituitary axis

Correct answer: 2. Suppresses hypothalamic - pituitary axis

Explanation: Gonadotropin-releasing hormone (GnRH) a decapeptide hormone from the hypothalamus that stimulates the anterior pituitary to release both follicle-stimulating hormone and luteinizing hormone.Endocrine hormone synthesis and secretion is controlled and regulated by a closed loop system. Negative feedback loops maintain optimal levels of each hormone in the body. If there are abnormally high levels of a hormone in the blood, feedback to the gland responsible for its production inhibits secretion. If there are abnormally low levels, the gland is stimulated to step up production and secretion. In this way, a homeostatic balance is maintained.Ref: Ganong's review of medical physiology;24th edition